In retinoscopy for refractive error at lm we add -1 D. If done at a distance of 66 cm, the addition factor will be:
1. -2D
2. -1.5 D
3. -0.5 D
4. -5 D

Correct answer: 2. -1.5 D

Explanation: Ans. -1.5 D